Right fourth arch artery gives rise to
1. Right subclavian artery
2. Common carotid artery
3. Internal carotid artery
4. External carotid artery

Correct answer: 1. Right subclavian artery